Psammoma bodies in a thyroid lesion or the adjacent metastatic lymph nodes increase the possibility of-
1. Papillary carcinoma
2. Follicular carcinoma
3. Anaplastic carcinoma
4. Hurthle cell carcinoma

Correct answer: 1. Papillary carcinoma